Blood supply of sigmoid colon is by -a) Middle colic arteryb) Marginal arteryc) Left colic arteryd) Sigmoid artery
1. c
2. d
3. ab
4. bd

Correct answer: 4. bd

Explanation: Blood supply of sigmoid colon comes from the sigmoid artery and marginal artery of sudeck .
The marginal artery is an arterial cascade formed by anastomosis of -ileocolic, rt. colic, middle colic, left colic, and sigmoid arteries. And blood supply of colon (Large intestine) is derived from the marginal artery.